Percentage of malignancy in duct ectasia is
1. No risk
2. 5:01
3. 1.2 :1
4. 10:01

Correct answer: 1. No risk

Explanation: Ans. (a) No risk(Ref. Schwartz 10th edition Page 511, Bailey 26th edition page 806)* The periductal mastitis mimics like cancer and hence mammography must be done.* Otherwise there is no risk of cancer in Duct ectasia